Acceptable methods of homicide by law are all except
1. Woman who kills a person who attempts to rape her
2. Killing in self-defence when attacked
3. Death following a lawful operation
4. Rash or negligent homicide

Correct answer: 4. Rash or negligent homicide

Explanation: (D) Rash or negligent homicide # Homicide: is killing of a human being by another human being.> Types: Lawful: (I) Justifiable. (2) Excusable. Unlawful: (1) Murder (S.300, I.P.C.). (2) Culpable homicide (S.299, I.P.C.). (a) amounting to murder, (b) not amounting to murder (S.304, I.P.C.). (3) Rash or negligent homicide (S. 304 A, I.P.C.).> Justifiable Homicide is justified in the circumstances which led to the killing of a person. in the administration of justice, like execution of sentence of death, maintenance of justice, e.g., in suppressing riots, or executing arrest, or killing in course of violent crime, e.g., a woman who kills a person who attempts to rape her.> Excusable Homicide caused unintentionally by an act done in good faith. killing in self-defence when attacked, provided there is no other means of defence, causing death by accident or misadventure, death following a lawful operation, homicide committed by an insane person.> Culpable homicide is causing death by doing an act with an intention of causing death, or, with an intention of causing such bodily injury as is likely to cause death, or with knowledge that such act is likely to cause death.